Which cranial nerve has the largest intracranial course?
1. Vagus nerve
2. Oculomotor nerve
3. Trochlear nerve
4. Abducens nerve

Correct answer: 3. Trochlear nerve

Explanation: Ans. C Trochlear nerveRef: BDC 6th ed. Vol-III pg. 362* Trochlear nerve is the only cranial nerve to emerge dorsally from the brain stem.# It has the longest intracranial course and it is the most slender cranial nerve in terms of axon contents.* Largest cranial nerve: Trigeminal N. (CN 5th)* CN which has most extensive distribution beyond head and neck: Vagus Nerve (CN 10th).* Most frequently paralyzed CN: Facial Nerve (CN 7th)- due to wide intraosseous course.* Pure sensory CN: CN 1, 2, 8* Pure motor CN: CN 3, 4, 6, 11, 12* Mixed CN: CN 5, 7, 9, 10